In competitive inhibition, the relation Km and Vmax is one of the following
1. Km and Vmax are the same
2. Km increases and Vmax is the same
3. Km decreases and Vmax is the increases
4. Km and Vmax increases

Correct answer: 2. Km increases and Vmax is the same

Explanation: Competitive inhibitors increase Km by interfering with the binding of the substrate they do not affect VmaxIn non-competitive inhibition Km doesn't change because Km is a measure of the enzyme for its substrate, here Vmax decreases